Libman Sachs endocarditis seen in?
1. Rheumatic fever
2. SLE
3. Infective endocarditis
4. Hypercoaguable states

Correct answer: 2. SLE

Explanation: Ans. is 'b' i.e., SLE [Ref: Robbins 9th/e p. 562 & 8th/e p. 569)Libman Sack's endocarditis* It is seen in SLE and is characterized by small/medium sized, sterile, flat, Verrucous vegetations occurring on both (atrial and ventricular) surfaces of valve, which may extend to chordae tendinae and mural endocardium.* They may also occur in pockets of valves.* They may cause damage (destruction) of valve or myocardium (but less destructive than vegetations of infective endocarditis).